A patient presents with nephrotic syndrome and hypoalbuminemia. Protein binding of which drug is not affected -
1. Tolbutamide
2. Morphine
3. Diazepam
4. Valproate

Correct answer: 2. Morphine

Explanation: Ans. is 'b' i.e., Morphine in nephrotic syndrome there is no effect on protein binding. o Other three drugs are plasma protein bound drugs.